NOT a true rib
1. 5 th
2. 6 th
3. 7th
4. 8th

Correct answer: 4. 8th

Explanation: True ribs: Ribs directly articulating with sternum through costal cartilage.
They are ribs 1 to 7
• False ribs: Ribs that do NOT articulate directly with sternum. Ribs 8 to 12th.